Hallmark of IgA nephropathy is
1. Oedema
2. Hematuria
3. Hypertension
4. Proteinuria

Correct answer: 2. Hematuria

Explanation: Refer Robbins page no 9/e923IgA Nephropathy (Berger Disease) IgA nephropathy, characterized by the presence of prom- inent IgA deposits in the mesangial regions and recurrent hematuria, is the most common type of glomerulonephri- tis worldwide. The disease can be suspected by light microscopic examination, but the diagnosis is made only by the detection of glomerular IgA deposition (Fig. 20-19). Mild proteinuria is usually present, and the nephrotic syndrome may occasionally develop.